Excessive bleeding due to heparin overdose is controlled by:
1. Protamine sulfate
2. Vitamin K
3. Factor VIII
4. EADA

Correct answer: 1. Protamine sulfate